Pulp cavity tests are used to check?
1. Pulp blood supply
2. Afferent nerve fibers
3. Efferent nerve fibers
4. None

Correct answer: 2. Afferent nerve fibers